A person developed sudden stridor, hoarseness of voice, tongue swelling, and edematous neck after eating a peanut. What is the likely diagnosis
1. Foreign body aspiration
2. Angioneurotic edema
3. Pharyngeal perforation
4. Parapharyngeal abscess

Correct answer: 2. Angioneurotic edema

Explanation: This is a case of Angioneurotic oedema characterized by tongue swelling and laryngeal oedema after ingestion of a peanut. It is a type I hypersensitivity reaction. Others options do not fit the clinical picture Ref : Diseases of ENT by Dhingra 6th edition Pgno : 446